Best radiographic view for condylar and ramus fracture?
1. Caldwell view
2. Towne's view
3. Reverse towne's view
4. Water's view

Correct answer: 3. Reverse towne's view